Iridocyclitis is a feature of
1. Juvenile rheumatoid arthritis with systemic involvement
2. Seropositive, pauciarticular, juvenile rheumatoid arthritis
3. Seronegative pauciarticular juvenile rheumatoid arthritis
4. Seropositive, polyarticular juvenile rheumatoid arthritis

Correct answer: 3. Seronegative pauciarticular juvenile rheumatoid arthritis

Explanation: C. i.e. Seronegative pauciarticular juvenile rheumatoid arthritis